HU units value of bone -
1. 0
2. 40
3. -100
4. 1000

Correct answer: 4. 1000

Explanation: Ans. is 'd' i.e., +1000 SubstanceHU unitsWaterDense cortical boneSoft tissueFatLung tissueAir0+ 1000 (+400 to + 1000)+ 40 to + 80- 60 to -100- 400 to -600- 1000